All of the following are the risk factors for carcinoma Gallbladder except
1. Primary sclerosing cholangitis
2. Procelain gallbladder
3. Multiple 2cm gallstones
4. Choledochal cyst

Correct answer: 3. Multiple 2cm gallstones

Explanation: Risk factors for Carcinoma Gallbladder Gallstones >3cm Procelain gallbladder Anomalous pancreaticobiliary junction (APBDJ) Choledochal cysts Adenomatous polyps Primary sclerosing cholangitis Obesity Salmonella typhi infection Ref: Sabiston 20th edition Pgno :1510